A Normal anion gap metabolic acidosis occurs in patients with?
1. Diabetic ketoacidosis
2. Methyl alcohol poisoning
3. Diarrhea
4. Acute kidney injury

Correct answer: 3. Diarrhea

Explanation: Diarrhea and Renal tubular acidosis (RTA) are two important causes of normal anion gap metabolic acidosis.